Drug used for prophylaxis of rheumatic heart disease:
1. Sulfadiazine
2. Phenoxy-methyl penicillin
3. Benzathine penicillin
4. All of the above

Correct answer: 4. All of the above

Explanation: Ans. D: All of the above Patients with acute rheumatic fever are susceptible to further attacks of the rheumatic fever if another streptococcal infection occurs, and a long term prophylaxis with penicillin should be given as benzathine penicillin 1.2 million U I/ M monthly or oral phenoxymethylpenicillin 250 mg 12 hourly Sulfadiazine or erythromycin may be used if patient is allergic to penicillin